At the end of 1 year of age, the number of carpal bones seen in the skiagram of the hand is ___________
1. Nil
2. 1
3. 2
4. 3

Correct answer: 3. 2

Explanation: Carpal bones ossified in chronological order, Capitate, Hamate, Triquetral, Lunate, followed usually by Scaphoid, then either the Trapezium or the Trapezoid . Reference: GHAI Essential pediatrics, 8th edition